About mallory weiss sydrome true is -
1. Gastrointestinal reflux
2. Obesity
3. Tumour at gastroesophageal junction
4. Seen in alcoholics

Correct answer: 4. Seen in alcoholics

Explanation: Answer is 'd' i.e. Seen in alcoholics